In the laser machines used in ophthalmology, the atomic environment used consists of:
1. Crystal rod
2. Fluid-filled cavity
3. Gas-filled cavity
4. Any of the above

Correct answer: 4. Any of the above

Explanation: Ans. Any of the above